Imipeneme is active against which of the following organism/s?
1. Gram positive cocci
2. B. fragilis
3. CL difficle
4. All the above

Correct answer: 4. All the above

Explanation: Ans. is 'd' i.e., All the above Imipenem* A derivative of thienamycin,imipenem is an extremely potent and broad spectrum b-lactam antibiotic whose range of activity includes gram-positive cocci, Enterobacteriaceae, Ps. aeruginosa, Listeria as well as anaerobes like Bact. fragilis and Cl.difficile.* It is resistant to most b-lactamases; inhibits penicillinase producing staphylococci.* Though some MRSA are inhibited, it is not reliable for treating such infections.* A limiting feature of imipenem is its rapid hydrolysis by the enzyme dehydropeptidase Ilocated on the brush border of renal tubular cells.* An innovative solution to this problem is its combination with cilastatin, a reversible inhibitor of dehydropeptidase I, which has matched pharma cokinetics with imipenem (tl/2 of both isl hr) and protects it.* Imipenem-cilastatin 0.5 g i.v. 6 hourly (max4 g/day) has proved effective in a wide range of serious hospital- acquired respiratory, urinary,abdominal, pelvic, skin and soft tissue infections including those in neutropenic, cancer and AIDS patients. For Ps. aeruginosa infections, it should be combined with gentamicin.